Mitochondrial DNA is known for all except
1. A. Maternal inheritance
2. B. Heteroplasmy
3. C. Leber Heriditary optic neuropathy is the prototype
4. D. Nemaline myopathy results due to mutation in mitochondrial DNA

Correct answer: 4. D. Nemaline myopathy results due to mutation in mitochondrial DNA

Explanation: Nemaline myopathy is not a mitochondrial disease. Nemaline myopathy is clinically heterogeneous condition and not a mitochondrial diseases . Five genes have been associated with this myopathy . All code for thin filaments associated proteins ,suggesting disturbed assembly or interplay of these structures as a pivotal mechanisms Refer Harrison 17/e, p2688 Robbins 8e/171